Atopic dermatitis may be associated with
1. Conjunctivitis
2. Keratoconus
3. Cataract
4. All of the above

Correct answer: 4. All of the above

Explanation: Ans. All of the above